Which one of the following disorders is autosomal recessive ?
1. Homocystinuria
2. G6PD deficiency
3. Myotonic dystrophy
4. Otospongiosis

Correct answer: 1. Homocystinuria